Pap smear is an example of -
1. Primary level of prevention
2. Secondary level of prevention
3. Teritary level of prevention
4. None of the above

Correct answer: 2. Secondary level of prevention

Explanation: Ans. is 'b' i.e., Secondary level of prevention o In secondary prevention, action halts the progress of a disease at its incipient stage and prevents complication. o Screening tests (e.g. - Pap smear), helps in diagnosis at early stage so that adequate treatment can halt disease progression and prevent complication.